34 year unresponsive female is brought to the emergency department with no proper history. What shall be the next step in management ?
1. Check for carotid pulse
2. Check for responsiveness
3. Chest compressions
4. Shock 300 Joules

Correct answer: 1. Check for carotid pulse

Explanation: Since the patient is already mentioned as unresponsive so, the rescuer should quickly assess the carotid pulse and breathing of the patient for not more than 10 second period. Evaluation and Initiation of CPR -Check for response -Call for help or ask someone to call local emergency number -If aspiration or airway obstruction is suspected then Hemlich maneuver should be performed to dislodge obstructing body. -Check for pulse(no longer than 10 sec) -Assess breathing -Chest compressions should be initiated without delay.